Substitution of which amino acid in the place of glycine would result in increase in UV absorption of a protein solution
1. Lysine
2. Arginine
3. Tryptophan
4. Histidine

Correct answer: 3. Tryptophan

Explanation: Aromatic amino acids (Phenylalanine, Tyrosine, Trytophan) absorb UV light.
Maximum absorption is by, tryptophan.